Mandibular ridge resorption causes
1. Widening of posterior ridge
2. Widening of anterior ridge
3. Narrowing of posterior ridge
4. Widening of maxillary residual ridge

Correct answer: 1. Widening of posterior ridge